Blood samples for "DNA finger printing" are transported in:
1. Saline
2. EDTA
3. NaF
4. Thymol

Correct answer: 2. EDTA

Explanation: EDTA